Treatment of chronic phase of CML is :
1. Imatinib
2. Hydroxyurea
3. Interferon
4. Cytarabine

Correct answer: 1. Imatinib